Bilateral subconjunctival ecchymosis is not associated with:
1. Le-Fort II fracture
2. Le-Fort III fracture
3. Naso ethmoidal complex fracture
4. Le-Fort I fracture

Correct answer: 4. Le-Fort I fracture